False statement in collapsing glomerulopathy:
1. It is a morphologic variant of FSGS (focal segmental glomerulosclerosis)
2. Microscopically retraction and /or collapse of the entire glomerular tuft is seen
3. There is no proliferation or hypertrophy of glomerular visceral epithelial cells
4. It may be idiopathic or HIV associated nephropathy

Correct answer: 3. There is no proliferation or hypertrophy of glomerular visceral epithelial cells

Explanation: Ans. (c) There is noproliferation or hypertrophy of glomerular visceral epithelial cells(Ref: Robbins 9th/pg 920; 8th/pg 928)HIV-ASSOCIATED NEPHROPATHY (HIVAN) is characterized by collapse of entire glomerular tuft along with proliferation & hypertrophy of glomerular visceral epithelial cells Q